Which laser is used in the manage ment of after cataracts?
1. Argon
2. Krypton
3. Nd :YAG
4. Excimer

Correct answer: 3. Nd :YAG

Explanation: Nd :YAG